Lice are not the vectors of:
1. Relapsing fever
2. Q fever
3. Trench fever
4. Epidemic typhus

Correct answer: 2. Q fever

Explanation: Ans. is 'b' i.e. Q fever ArthopodsArthropod borne diseasesl)Mosquito:1) AnophelesMalaria 2) CulexJapanese encephalitis West nile fever Bancroftian filariasis Viral arthritis 3) AedesYellow fever DengueDengue haem. Fever Chikangunya fever Rift valley fever 4) MansonoidesBrugian filariasis2)SandflyKalazar Oriental sore 0 ray a fever Sandfly fever 3)Tse - tse flySleeping sickness4)LouseEpidemic typhus, relapsing fever, trench fever, pediculosis.5)Rat fleaBubonic plague, endemic plague, chiggerosis, hymenolepis diminua6)Black flyOncocerciasis7)Reduvid bugChaga's disease8)Hard tickTick typhus, viral encephalitis, viral haem. Fever, KFD, Turalemia, tick paralysis, human babesiosis.9)Soft tickQ fever, relapsing fever10)Trombiculid miteScrub typhus, Ricketssial vox 11) Itch miteScabies12) CyclopsGuinea worm disease, Fish tape worm (D. latum)13) CockroachesEnteric pathogens14. HouseflyTyphoid and paratyphoid fever, diarrhoea, dysentery, cholera, gastroenteritis, amoebiasis, helminthic infestations, poliomyelitis, conjunctivitis, trachoma, anthrax, yaws, etc.